Which is the immediate danger to a patient with severe facial injuries
1. Bleeding
2. Associated fracture spine
3. Infection
4. Respiratory obstruction

Correct answer: 4. Respiratory obstruction